Pyruvate dehydrogenase requires -
1. Biotin
2. Pyridoxin
3. Folic acid
4. Pantothenic acid

Correct answer: 4. Pantothenic acid

Explanation: Ans. is 'd' i.e., Pantothenic acid o PDH requires CoA (Coenzyme A)o Pentothenic acid is a building block of CoA.